Disease or infarction of neurologist tissues causes it to be replaced by
1. Fluid
2. Neuroglia
3. Proliferation of adjacent nerve cells
4. Blood vessel

Correct answer: 2. Neuroglia

Explanation: Neuroglia astrocytes are the principal cells in the central nervous system responsible for reactioj to injury repair and scar formation in the brain. They perform function similar to fibroblasts in the CNS Refer Robbins page no 1252